'Bull's eye' lesion in macular region is seen in:
1. Progressive cone dystrophy
2. Choroquine maculopathy
3. Both of the above
4. None of the above

Correct answer: 3. Both of the above

Explanation: Ans. Both of the above